DNA repair defect is seen in
1. Xeroderma pigmentosa
2. Bloom's syndrome
3. Ataxia telangiectasia
4. All of these

Correct answer: 4. All of these

Explanation: Examples of DNA repair defects : (1) Xeroderma pigmentosa, (2) Ataxia telangiectasia, (3) Fanconi's anaemia, (4) Bloom's syndrome, (5) HNPCC.